A 68-year-old female patient is seen on the ward. She complains of severe pain in her right eye. There is blurring of vision and she feels nauseated and has vomited several times. Earlier in the day she has undergone colonoscopy for evaluation of her long-standing Crohn's disease. The endoscopist has made a comment that the examination was difficult. What is the likely cause of her painful red eye?
1. Anterior uveitis
2. Acute conjunctivitis
3. Episcleritis
4. Acute angle closure glaucoma

Correct answer: 4. Acute angle closure glaucoma

Explanation: Ans. (d) Acute angle closure glaucomaAnticholinergic agents are sometimes used during endoscopy to cause smooth muscle relaxation to aid examination when difficulty is encountered. These agents cause pupillary dilatation, thus, precipitating acute angle closure glaucoma in susceptible patients. In patients with a history of glaucoma, glucagon is used instead of anticholinergics.